A 24-year old unmarried woman has multiple nodular, cystic, pustular and comadonic lesions on face, upper back and shoulders for 2 years. The drug of choice for her treatment would be:
1. Acitretin
2. Doxycycline
3. Isotretinoin
4. Azithromycin

Correct answer: 3. Isotretinoin

Explanation: Patient in the question is a case of severe nodulocystic acne. Drug of choice in this patient would be synthetic retinoid, isotretinoin. Its use is highly regulated due to its severe adverse effects such as teratogenicity. Other adverse effects includes development of extremely dry skin, cheilitis, and hypertriglyceridemia. Ref: Harrison's Principles of Internal Medicine, 18th Edition, Chapter 52.